Maximum duration of sleep is spent in
1. NREM 1
2. NREM 2
3. NREM 3
4. REM

Correct answer: 2. NREM 2

Explanation: Maximum duration is spent in NREM 2.